Borchardt's triad of acute epigastric pain, violent retching and inability to pass a nsogastric tube is seen in patients with
1. Acute gastric volvulus
2. Achalasia cardia
3. Jejunogastric intussusception
4. Hitus hernia

Correct answer: 1. Acute gastric volvulus

Explanation: A volvulus is a twisting or axial rotation of a portion of bowel about its mesentery.
When complete it forms a closed loop of obstruction with resultant ischaemia secondary to vascular occlusion.